A patient with Crohn's disease was opened for and an inflammed appendix found. The treatment of choice is-
1. Appendicectomy
2. Ileocolic resection and anastamosis
3. Close the abdomen and start medical treatment
4. None of the above

Correct answer: 1. Appendicectomy

Explanation: Sabiston writes - "Patients who undergo exploration for presumed appendicitis and have evidence of Crohn's disease should undergo appendectomy. Although there is theoretical concern for the development of an enterocutaneous fistula, this is extremely rare. Moreover appendectomy prevents further diagnostic confusion."